Enzyme deficiency in glycogen storage disease type 5 is:
1. Glucose 6 phosphatase
2. Acid maltase
3. De branching enzyme
4. Myophpsphorylase deficiency

Correct answer: 4. Myophpsphorylase deficiency

Explanation: D Harper, 26,h ed, p. 152, Table (18.2) & 25th ed, p. 206, Table (20.2)